Dashboard injury results in
1. Anterior dislocation of hip
2. Posterior dislocation of hip
3. Central dislocation of hip
4. Fracture neck femur

Correct answer: 2. Posterior dislocation of hip

Explanation: B i.e. Posterior dislocation of hip